Main disadvantage of glass bead sterilizer:
1. Technique sensitive
2. Only glass instruments can be sterilized
3. Only small instruments can be sterilized
4. None of the above

Correct answer: 3. Only small instruments can be sterilized

Explanation: The hottest part of glass bead sterilizer is along its outer rim and the temperature is lowest in the centre of surface layer of salt. 
To sterilize an instrument properly, one should immerse at least a  “quarter-inch" below the salt surface and in peripheral area of the sterilizer. 
The main disadvantage of glass bead sterilizer is that only small instruments can be sterilized.  
Temp ⇒ 425°F - 475F°F  for 5 sec.